Green-house gases not include:
1. Carbon dioxide
2. Carbon monoxide
3. Water vapour
4. Methane

Correct answer: 2. Carbon monoxide

Explanation: Global warming /Green house effect is caused by heat-trapping gases in the atmosphere released by burning of fossil fuels, depletion of ozone layer, d/t use of aerosolized chloro-fluoro-hydrocarbons etc. By their % contribution to greenhouse effect on earth, 4 major gases: Water vapour, 36-70 % Carbon dioxide 9-26% Methane 4-9% Ozone 3-7%